In apoptosis what is not seen
1. Cellular swelling
2. Nuclear compaction
3. Intact cell membrane
4. Cytoplasmic eosinophilia

Correct answer: 1. Cellular swelling